All of the following are diagnostic criteria of allergic Fungal sinusitis except:
1. Areas of High Attuenuation on CT scan
2. Orbital invasion
3. Allergic eosinophilic mucin
4. Type 1 Hypersensitivity

Correct answer: 2. Orbital invasion

Explanation: Allergic fugal sinusitis is a non invasive form of fungal sinusitis as such orbital invasion is not its feature. Ref Pattern's Allergic Disease 6/e,p 778.